Gleason's staging is used in:
1. Ca prostate
2. Ca bladder
3. Ca pancreas
4. Ca colon

Correct answer: 1. Ca prostate

Explanation: Ans: A (Ca prostate) Ref: Bailey & Love s Short Practice of Surgery, 25th Edition & Internet SourcesExplanation:The Gleason Grading SystemIt is used to help evaluate the prognosis of men with prostate cancer.It also predicts prognosis and helps guide therapy.Scoring based upon its microscopic appearance on histopathology.Cancers with a higher Gleason score are more aggressive and have a worse prognosis.The pathologist assigns a Gleason score based on the sum ot' two numbers:The first number is the grade of the most common tumor pattern.The second number is the grade of the second most common pattern.If there are three patterns the first number is the most common and the second is the one with the highest grade.